Protein C activation causes
1. Promotion of clothing
2. Inactivation of factor II
3. Activation of factor X
4. Inactivation of factor V

Correct answer: 4. Inactivation of factor V

Explanation: Binding of thrombin with thrombomodulin slow the clotting process by removing thrombin, the thrombomodulin-thrombin complex also activates a plasma protein, protein C, that actssnanticoagulant by inactivating activated Factors V and VIII.Ref: Guyton and Hall textbook of medical physiology 13th edition. Page: 489